Centre of tubercular granuloma is formed by -
1. T-lymphocytes
2. B-lymphocytes
3. Langhan's giant cells
4. Necrotic zone

Correct answer: 4. Necrotic zone

Explanation: Ans. is 'd' i.e.,Necrotic zone Tubercular granulomaTubercular granuloma contains mostly blood-derived macrophages, epithelioid cells (differentiated macrophages) and multinucleated giant cells (also known as Langhans giant cells), surrounded by T- lymphocytes.Caseous granulomas are typical of tuberculosis. These structures are formed by epithelioid macrophages surrounding a central cellular necrotic region with a rim of lymphocytes of the T- and B-cell types.